Sudden Painless loss of vision is seen in
1. Vitreous haemorrhage
2. Optic atrophy
3. Developmental cataract
4. Acute Angle closure glaucoma

Correct answer: 1. Vitreous haemorrhage

Explanation: (A) Vitreous hemorrhage # Clinical features of vitreous haemorrhage:> Sudden development of floaters occurs when the vitreous haemorrhage is small.> In massive vitreous haemorrhage patient develops sudden painless loss of vision.> Fate of vitreous haemorrhage> Complete absorption> Organization> Complications like vitreous liquefaction, degeneration and khakhi cell glaucoma (in aphakia) may occur.> Retinitis proliferans> Treatment: Conservative treatment Treatment of the cause Vitrectomy> Sudden loss of vision: Central retinal artery occlusion Retinal detachment Central retinal vein occlusion Retrobulbar neuritis> Transient loss of vision: Carotid artery disease Migraine Papilloedema, Severe hypertension